All of the following statements are true about Benedikt's syndrome, except:
1. Contralateral tremor
2. 3rd nerve palsy
3. Involvement of the penetrating branch of the basilar artery
4. Lesion at the level of the pons

Correct answer: 4. Lesion at the level of the pons

Explanation: In Benedikt's syndrome, there is injury to the red nucleus and surrounding fibers of the superior cerebellar peduncle. It is not involved with the lesion at the level of pons. Ref: Harrison's Principles of Internal Medicine, 16th Edition, Page 174; Neurology secrets 4th Edition, Page 138; DeJong's The Neurologic Examination, William Wesley Campbell, 6th edition, Page 280 & 284.